A patient with leprosy presents with clumsiness of hand. His ulnar nerve is affected. Clumsiness is due to palsy of which muscle -
1. Extensor carpi ulnaris
2. Abductor pollicis brevis
3. Oppenens pollicis
4. Interosseous muscle

Correct answer: 4. Interosseous muscle

Explanation: Clumsiness is due to paralysis of muscles which are involved in fine movement i.e., interossei, lumbricals and hypothenar muscles.